P. Carni causes infection of primarily ?
1. Rats
2. Mice
3. Humans
4. Rabbits

Correct answer: 1. Rats

Explanation: Ans. is 'a' i.e., Rats . Although the organisms within the pneumocystis genus are morphologically very similar, they are genetically diverse and host specific --> P jirovecii infects humans, where as Pcarinii infects rats.